Uronic acid level in urine is elevated in-
1. Tyrosinosis
2. Maple syrup urine disease
3. Nieman picks disease
4. mucopolysaccharidosis

Correct answer: 4. mucopolysaccharidosis

Explanation: Uronic acid (glucuronic acid) is one of the essential components of mucopolysaccharide (glycosaminoglycans). So, it is increased in mucopolysaccharidosis.
In mucopolysaccharidosis, glucuronic acid and iduronic acid are excreted in urine.